All are hepatotoxic drugs Except :
1. Erythromycin estolate
2. Rifampicin
3. Tetracycline
4. None

Correct answer: 4. None